IQ related genes have recently been found on which chromosome ?
1. Chromosome 21
2. Chromosome X
3. Chromosome 10
4. Chromosome 18

Correct answer: 2. Chromosome X

Explanation: Ans. is 'b' i.e., Chromosome XA genomic distribution analysis demonstrated that IQ-related genes were enriched in seven regions of chromosome 7 and the X chromosome.'